In simplified oral hygiene index, how many surfaces of the teeth are examined?
1. 6
2. 12
3. 18
4. 24

Correct answer: 1. 6